Apparant lenghthening is seen in TB Hip of
1. Stage 1
2. Stage 2
3. Stage 3
4. Stage 4

Correct answer: 1. Stage 1